Paradoxical embolism is detected by?
1. MRI Chest
2. Bubble contrast Echocardiography
3. CT scan Chest
4. Impedance plethysmography

Correct answer: 2. Bubble contrast Echocardiography

Explanation: Paradoxical embolism Condition where a clot from venous return enters into the left atrium and left ventricle. Henceforth, it can travel to the brain leading to cryptogenic stroke. Have a patent foramen ovale which allows transit of clot(s) in this fashion. Dx- Bubble contrast echocardiography is performed.